Placental alkaline phosphates is marker of:
1. Theca cell tumour
2. Teratoma
3. Choriocarcinoma
4. Seminoma

Correct answer: 4. Seminoma

Explanation: PLAP-most useful marker for bulk disease. Tumour marker for seminoma is PLAP. BETA HCG is also raised in 5-10% of pure seminomas as they contain syncytiotrophoblast like giant cells.